Dexmedetomidine acts on which receptor for its analgesic action -
1. 5HT2A
2. D2
3. a2A
4. D5

Correct answer: 3. a2A

Explanation: Ans. is 'c' i.e., a2A o Dexmedetomidine is a centrally active selective a2A agonist.o Has been explained in previous sessions.